All are true about common bile duct T-tube except
1. Should be removed in 5-7 days
2. Free flow of bile into duodenum need to be confirmed before removal
3. Need to confirm there are no retained stones
4. Made from latex

Correct answer: 1. Should be removed in 5-7 days

Explanation: After exploration of the common bile duct, a T-tube may be inserted into the duct which allows bile to drain] Common bile duct T-tubes should remain in for 10 days. The 10-day period is required to minimise the risk of biliary peritonitis after removal. However, once the T-tube cholangiogram has shown that there is free flow of bile into the duodenum and that there are no retained stones, some surgeons like to clamp the T-tube prior to removal. T-tubes are traditionally and intentionally made of latex to stimulate fibrosis, which results in the formation of a tract to allow the drainage of bile if required. Ref: Bailey and Love 27e pg: 100